Ammonia is detoxified in brain to :
1. Urea
2. Glutamine
3. GABA
4. Uric acid

Correct answer: 2. Glutamine

Explanation: Glutamine is the sole form of transport of ammonia in brain.Glutamine is an amide of glutamic acid which is formed from alpha - ketoglutarate. (Product of TCA cycle).In metabolic alkalosis, there is decreased ammonia excretion in urine.